What is FRC?
1. Volume present in lungs after normal expiration
2. Volume present in lungs after forceful expiration
3. Volume present in lungs after deep inspiration
4. Volume present in lungs after normal inspiration

Correct answer: 1. Volume present in lungs after normal expiration

Explanation: FUNCTIONAL RESIDUAL CAPACITY = ERV + RV The volume of air that remains in lungs at the end of normal expiration = 2300 ml